Most common organism associated with cystic fibrosis:
1. Pseudomonas aeruginosa (non mucoid)
2. Burkholderia cepacia
3. Pleisomonas
4. Aeromonas

Correct answer: 1. Pseudomonas aeruginosa (non mucoid)

Explanation: Ans. a. Pseudomonas aeruginosa (non mucoid) Most common organism associated with cystic fibrosis is Pseudomonas aeruginosa (non mucoid) among the given options.Pulmonary infections in Cystic Fibrosis: Persistent colonization/ infection with typical cystic fibrosis pathogens, includingStaphylococcus aureus (MC in children(r)), nontypeable, Hemophilus influenzae, mucoid and nonmucoid Pseudomonas aeruginosa (MC in adults and overall(r)), Burkholderia cepase."Characteristic Classical Manifestations of Cystic FibrosisRespiratory system(Sinopulmonary disease)Gastrointestinal System(Intestinal, Hepatobiliary, Pancreatic)Genitourinary System(Male Infertility)* Pulmonary infection: Persistent colonization/ infection with typical cystic fibrosis pathogens, including Staphylococcus aureus (MC in children), nontypeable, Hemophilus influenzae, mucoid and nonmucoid Pseudomonas aeruginosa (MC in adults and overall0), Burkholderia cepase* Chronic obstructive pulmonary disease* Bronchiectasis0* Airway obstruction manifested by wheezing and air trapping* Chronic cough and sputum production* Digital clubbing* Persistent chest radiograph abnormalities (e.g. Bronchiectasis, atelectasis, infiltrates, hyperinflation)* Nasal Polyps* Radiographic abnormalities of paranasal sinuses* Intestinal: Meconium ileus, distal intestinal obstruction syndrome, rectal prolapse.* Pancreatic: Pancreatic exocrine deficiency* Hepatobiliary: Hepatic disease manifested by clinical or histologic evidence of focal biliary cirrhosis, or multilobular cirrhosis* Male urogenital abnormalities resulting in obstructive azoospermia are typical* Nutritional: Failure to thrive (protein-calone malnutrition), hypoproteinemia, edema, complications secondary to fat-soluble vitamin deficiency Metabolic AbnormalitiesCharacterized by salt depletion syndrome.* Hyponatremia* Hypocholeremia* Hypokalemia* Metabolic alkalosis